The following metabolic anomaly is seen in cases of hemorrhagic shock.
1. Metabolic acidosis
2. Respiratory acidosis
3. Respiratory alkalosis
4. Metabolic alkalosis

Correct answer: 1. Metabolic acidosis

Explanation: Ans. (a) Metabolic acidosisRef: "Anion Gap: Acid Base Tutorial". University of Connecticut Health Centre* Lactic acidosis is seen in hemorrhagic shock.* Lactic acidosis causes increase anion gap metabolic acidosis.